Curling ulcers are commonly seen in
1. Stomach
2. Duodenum
3. Ileum
4. Cecum

Correct answer: 2. Duodenum

Explanation: .DUODENAL ULCER FOLLOWING SUPERFICIAL BURNS ARE CALLED CURLING'S ULCER